All are true about communicability of Malaria,except -
1. The number of gametocytes in blood increases with time
2. Gametocytes appear in blood 4-5 days after the appearance of the asexual parasite, in vivax infection.
3. Gametocytes appear in blood 10-12 days after the appearance of asexual parasite, in falciparum infection
4. In the early stage of infection, their density may exceed 1000 per cmm of blood.

Correct answer: 1. The number of gametocytes in blood increases with time